CSF otorrhoea is a feature of:
1. Anterior cranial fossa fracture.
2. Middle cranial fossa fracture.
3. Posterior cranial fossa fracture.
4. All of the above.

Correct answer: 2. Middle cranial fossa fracture.